A 2-month-old child is brought by her mother to the clinic for her first immunization. Upon physical examination, it is found that the baby is shivering and the body temperature is 39degC. Her mother says that she is constantly crying, irritable and refusing to eat. What is the most appropriate medical intervention in this case?
1. Delay immunization; come back in 2-3 days
2. Immunize as per schedule
3. Split immunizations 1 week apart
4. Postpone immunization for 6 months

Correct answer: 1. Delay immunization; come back in 2-3 days

Explanation: Answer: a) Delay immunization; come back in 2-3 days (NELSON 20(tm) ED, P-1256; IAP 5(tm) ED,P-206)Delay immunization: Live vaccine* Measles/MMR for 6 weeks following immunoglobulin therapy* Severe febrile illnessDo not stop vaccination in* Malnutrition* Moderate fever* Respiratory infections* Mild diarrhea* Any benign ailment